Actions of cholecystokinin include which one of the following?
1. Contraction of gall bladder
2. Secretion of pancreatic juice rich in enzymes
3. Increases the secretion of enterokinase
4. All

Correct answer: 4. All

Explanation: FUNCTIONS: Stimulates pancreatic acinar cell enzymes secretion. Causes contraction of gallbladder. Secretion of enzyme-rich pancreatic juice. Increases enterokinase secretion